Dalen Fuchs nodules are found in :
1. Superficial keratitis
2. Sympathetic ophthalmitis
3. Vernal catarrh
4. Trachoma

Correct answer: 2. Sympathetic ophthalmitis

Explanation: Dalen Fuchs nodules are scattered yellow choroidal lesions seen in Sympathetic ophthalmitis. These nodules are seen at the level of retinal pigment epithelium and choroid, preferentially involve the periphery. These nodules are highly suggestive of sympathetic ophthalmia. Sympathetic ophthalmia is a bilateral panuveitis which most commonly occur after ocular trauma, and less frequently following ocular surgery. It usually presents with granulomatous anterior segment inflammation, mild to moderate vitritis, and Dalen Fuchs nodules. Ref: Clinical Guide to Comprehensive Ophthalmology edited by David A. Lee, page 293.